Lateral dislocation of patella is prevented by ?
1. Rectus femoris
2. Vastus intermedius
3. Vastus lateralis
4. Vastus medialis

Correct answer: 4. Vastus medialis

Explanation: Vastus medialis